Which among the following is computer controlled injection system:
1. WAND.
2. TENS.
3. Denti patch.
4. Jet injections.

Correct answer: 1. WAND.

Explanation: It is a computer controlled injection system in which dosage is controlled by computer.